Pale infract is seen in all except
1. Lungs
2. Spleen
3. Kidney
4. Heart

Correct answer: 1. Lungs

Explanation: Ref Robbins 8/,e p128,9/ep129